Definitive host for Guinea worm is -
1. Man
2. Cyclops
3. Snail
4. Cyclops and man

Correct answer: 1. Man

Explanation: Dracunculus medinensis (Guinea worm): organism-Guinea worm/medina worm/serpent worm habitat- subcutaneous nodules DH-humans IH- cyclops(lobsters, crabs shrimps) MOI-ingestion of drinking water from stagnant pools containing minute fresh water crustaceans (Cyclops)infested with L3 Larvae